H1 blockers are useful as:
1. Antacids
2. Anti-allergic
3. Anti-asthmatics
4. Anti-migraine

Correct answer: 2. Anti-allergic

Explanation: Ans. B i.e. Anti-allergic H1 antagonist is a histamine antagonist of the H1 receptor that serves to reduce or eliminate effects mediated by histamine, an endogenous chemical mediator released during allergic reactions.